True about corneum lucidum:
1. Sadwitched b/w s.spinosum & s. granulosum
2. Sandwitched b/w s. comeum & s. granulosum
3. Contain hair follicle
4. Also k/a prickle cell layer

Correct answer: 2. Sandwitched b/w s. comeum & s. granulosum

Explanation: B i.e. Sandwitched b/w s. corneum & s. granulosum